Which of the following not a glycoprotein?
1. FSH
2. LH
3. TSH
4. ADH

Correct answer: 4. ADH

Explanation: Ans: D (ADH) Ref: Harper's Illustrated Biochemistry, 28th edition.Explanation:The Antidiuretic hormone (ADH) (vasopressin) is peptide consisting of nine amino acids (non- u peptides) and not a glycoproteinHormones that are glycoproteins include:Follicle-stimulating hormone (FSH)Luteinizing hormone (LH)Thyroid-stimulating hormone (TSH)Human chorionic gonadotropin (HCG)Alpha-fetoprotein (AFP)Erythropoietin (EPO) (See Table 5 )Chemical Nature of HormonesInsulin family* Insulin* IGF* RelaxinGlycoprotein family* LH* hCG* FSH* TSHGH family* GH* Prolactin* hPLSecretin family* Secretin* G1P* Glucagon* VIPPeptide hormones* ANP* ADH* ACTH* Calcitonin* Inhibin* PTH* CCK* Somatostatin Table 5 : Some important glycoproteins FunctionGlycoproteinsStructural moleculeCollagensLubricant and protective agentMucinsTransport moleculeTransferrin, ceruloplasminImmunologic moleculeImmunoglobins, histocompatibility antigersHormoneHCG. TSH, FSH, LH, EPO, AFPEnzymeVarious, e.g., alkaline phosphatase, patatinCell attachment-recognition siteVarious proteins involved in cell-cell (e.g., sperm-oocyte), virus-cell, bacterium-cell, and hormone-cell interactionsInteract with specific carbohydratesLectins, select ins (cell adhesion lectins), antibodiesReceptorVarious proteins involved in hormone and drug actionAffect folding of certain proteinsCatnexin. calreticulinRegulation of developmentNotch and its analoqs, key proteins in developmentHemostasis (and thrombosis)Specific glycoproteins cn the surface membranes of platelets